In a patient with gouty arthritis, synovial fluid aspiration will show:
1. Monosodium Urate crystals
2. Calcium Pyrophosphate crystals
3. Mononuclear Leucocytosis
4. Polymorphonuclear Leukocytosis

Correct answer: 1. Monosodium Urate crystals

Explanation: Demonstration of intracellular Monosodium Urate Crystals (MSU) in synovial fluid from affected joint is diagnostic of gout. Ref: Harrison's Principles of Internal Medicine, 16th Edition, Page 2046; Current Rheumatology Diagnosis and Treatment, 2nd Edition, Page 467